Which of the following is false about campylobacter:
1. Uncooked meat is causative
2. Source of infection is poultry
3. Is spore forming
4. Is an enteric pathogen

Correct answer: 3. Is spore forming

Explanation: Is spore forming